True regarding sialadenitis in AIDS are all except:
1. May present as Sjogren's syndrome
2. Unilateral parotid enlargement is common
3. Non tender enlargement of salivary gland
4. May present as xerostomia

Correct answer: 2. Unilateral parotid enlargement is common

Explanation: Ans. B: Unilateral parotid enlargement is common The causes of HIV-SGD is unknown Infection with human immunodeficiency virus (HIV) may be associated with nontender, bilateral enlargement of the major salivary glands or symptoms of dry mouth known as HIV-associated salivary gland disease (HIV-SGD). Labial salivary gland (LSG) biopsy can be done. HIV-SGD patient show a number of similarities to and differences from patient with Sjogren's syndrome (SS). The similarities include the oral and salivary features, histopathology and possibly changes in other orgAns. The differences include the lower salivary gland T4/ T8 ratio and the absence of autoantibodies in serum.